The metabolic dearrangement in congenital pyloric stenosis is
1. Hypochloremic alkalosis
2. Hyperchloremic alkalosis
3. Hyperchloremic acidosis
4. Hypochloremic acidosis

Correct answer: 1. Hypochloremic alkalosis

Explanation: The classical presentation is non bilious vomiting begining at 3-6 weeks of age Severity and frequency of vomiting increases gradually Persistant vomiting leads to malnutrition,dehydration and hypochloremic alkalosis. constipation is usual Diagnosis is based on history and palpability of mass. Ref : ESSENTIAL PEDIATRICS,O.P.GHAI,PG NO:253,7 th edition